Partial closure of nose is done in which condition:-
1. Allergic rhinitis
2. Atrophic rhinitis
3. Vasomotor rhinitis
4. Occupational rhinitis

Correct answer: 2. Atrophic rhinitis

Explanation: Atrophic Rhinitis:Atrophic chronic inflammatory disease characterized by progressive atrophy of the nasal mucosa and the underlying bone of the turbinates associated with excessive crusting which leads to nasal obstruction. Sx- Young's operation: Closure of both the nostril following elevation of the nasal vestibular folds, opened after 6 months. Modified Youngs operation:Partial closure of the nostril leaving behind a 1- 3 mm hole kept for a period of 2 years. Allergic Rhinitis:IgE mediated Type I hypersensitive reaction of nasal mucosa to airborne allergens. Vasomotor Rhinitisis a non allergic rhinitis which occurs due to parasympathetic overactivity. The parasympathetic overactivity leads to congestion and vasodilatation